Multiphasis screening means -
1. Application of the two or more screening tests in combination at one time
2. Application of two or more screening tests in combination at different time
3. Application of two or more screening tests in combination at different geographical areas.
4. Application of separate screening tests for different diseases

Correct answer: 1. Application of the two or more screening tests in combination at one time

Explanation: .it has been defined as the application of two or more screening tests in combination to a large number of people at one time than to carry out seperate screening tests for single diseases.the procedure may also include a health questionnaire,clinical examination,and a range of measurements.and investigations.all of which can be performed rapidly with the appropriate staffing organization and equipment..it has increased the cost of health services without any observable benefit. ref:park's textbook ,22 nd edition,pg no 129